Best method of detection of retained glass intraocular foreign body is:
1. CT scan
2. Radiography
3. Ultrasonography
4. Tonography

Correct answer: 1. CT scan

Explanation: Ans. CT scan